Most Radiosensitive tumor of the following is –
1. Ca Kidney
2. Ca Colon
3. Ca Pancreas
4. cervical carcinoma

Correct answer: 4. cervical carcinoma

Explanation: Amongst the given options, carcinoma kidney, carcinoma colon, and cervical carcinoma are relatively radioresistant.
However, amongst these three, the best choice is cervical carcinoma because radiotherapy is the treatment of choice for any stage beyond stage II B.